Mouth-to-mouth respiration provides an oxygen concentration of
1. 16%
2. 20%
3. 22%
4. 24%

Correct answer: 1. 16%

Explanation: The concentration of O2 in the expired air is 16%.